The most common causative organism causing lobar pneumonia is
1. Staphylococcus aureus
2. Streptococcus pyogenes
3. Streptococcus pneumonia
4. Hemophilus influenza

Correct answer: 3. Streptococcus pneumonia

Explanation: Although Streptococcus pneumoniae is most common, other organisms must also be considered in light of the patient's risk factors and severity of illness.(Ref: Harrison's 18/e p2131)